Frequent relapse in Nephrotic syndrome implies
1. 3 or more relapse in 1yr
2. Relapse every month
3. 2 or more relapse in 6 months of initial response
4. Relapse every 3 months

Correct answer: 3. 2 or more relapse in 6 months of initial response

Explanation: Frequent relapse : 2 or more relapse in 6 months of initial response  , 4 or more relapse in any 12 month period.